Rain drop pigmentation is seen in –
1. Chronic lead poisoning
2. Chronic Arsenic poisoning
3. Chronic Mercury poisoning
4. All of the above

Correct answer: 2. Chronic Arsenic poisoning

Explanation: Rain drop pigmentation is characteristic of chronic arsenic poisoning.